Energy is required in which transport process across cell membrane
1. Osmosis
2. Facilitated diffusion
3. Active transport
4. Simple diffusion

Correct answer: 3. Active transport

Explanation: The passage of substances against their electrical and chemical gradient at the expenditure of energy is called active transport (REF: TEXTBOOK OF MEDICAL PHYSIOLOGY GEETHA N 2 EDITION, PAGE NO - 6)